Superior margin of infants larynx as at the level of
1. Cervical spine C1
2. Cervical spine C2
3. Cervical spine C4
4. Cervical spine C6

Correct answer: 2. Cervical spine C2